Drug of choice for neutropenia due to cancer chemotherapy is :
1. Vitamin B–12
2. IL–11
3. Filgrastim
4. Erythropoietin

Correct answer: 3. Filgrastim